A P5 female bleeds profusely after delivery of the placenta. You initiate IV fluids with Oxytocin. However, the patient continues to bleed over the next 10 min even after adequate uterine massage. On examination, she is tachycardic, hypotensive and the uterus is soft and boggy. What is the next step of management?
1. Ligation of internal iliac arteries
2. Carry out balloon tamponade
3. Ligation of uterine arteries
4. Hysterectomy

Correct answer: 2. Carry out balloon tamponade

Explanation: The next step of management is to carry out balloon tamponade. When the uterine bleeding is unresponsive to uterotonic agents, bimanual uterine compression can be performed, IV lines must be placed and volume resuscitation started A Bakri postpartum balloon may be inserted and inflated to tamponade the endometrial cavity. Other options mentioned are surgical methods of management, these are tried after all forms of medical management have failed. Ref: Williams Obstetrics 24th edition Pgno: 786